MC malignancy of maxillary antrum:
1. Muco-epidermoid Carcinoma
2. Adeno-cystic Carcinoma
3. AdenoCarcinoma
4. Squamous cell Carcinoma

Correct answer: 4. Squamous cell Carcinoma

Explanation: M/c malignancy of paranasal sinus and nasal cavity -Squamous cell Carcinoma Most common PNS involved - maxillary sinus A/w occupation Furniture industry - Adeno ca Nickel industry - Sq cell ca.